Which among the following is not a feature of furious rabies?
1. Hydrophobia
2. Aerophobia
3. Constricted pupils
4. Seizure

Correct answer: 3. Constricted pupils

Explanation: Furious Rabies generally manifests as headache, fever, irritability, restlessness and anxiety. It is associated with dilated pupils, lacrimation, salivation and perspiration. Muscle pains, salivation and vomitting may follow. A few days following exposure the patient may experience a stage of excitement or muscle spasms initiated from the ingestion of of saliva or water. As a result these individuals have a tendency to drool and begin to fear water or hydrophobia. This excited phase continues for a few days until the patient lapses into a coma and dies. Dumb Rabies manifests itself in the opposite manner as Furious Rabies. Instead of demonstrating excitement the patient experiences depression and paralysis followed by a coma. Death eventually results from respiratory arrest. This form of the virus is often difficult to diagnose from a clinical perspective.